A method of strangulation where neck is constricted using bamboo sticks is called
1. Mugging
2. Garroting
3. Bansdola
4. Throttling

Correct answer: 3. Bansdola

Explanation: Refer the byte "Hanging and Strangulation".